An inexpensive and efficient method of sewage disposal for a small community is -
1. River outfall
2. Oxidation pond
3. Trickling filter
4. Activated sludge

Correct answer: 2. Oxidation pond

Explanation: Oxidation ponds: It is a cheap method of sewage treatment Aka waste stabilization pond, redox pond, sewage lagoons, etc. It is an open shallow pool 1 to 1.5 m deep with an inlet and outlet there must be the presence of algae, certain bacterias, and sunlight. Organic matter oxidized by bacteria to simple compounds such as CO2, ammonia, and water. Algae with the help of sunlight utilize CO2 and other inorganic compounds. Park's Textbook of Preventive and Social Medicine, 25th Edition, Pg 825